Neonatal sepsis and meningitis most common cause -
1. Streptococcus pyogenes
2. Streptococcus agalactacea
3. Enterococcus fecalis
4. Staphylococcus aureus

Correct answer: 2. Streptococcus agalactacea

Explanation: Ans. is 'b' i.e., Streptococcus agalactiae